Most common type of intellectual disability ?
1. Mild
2. Moderate
3. Severe
4. Profound

Correct answer: 1. Mild

Explanation: Ans. is 'a' i.e., Mild